Following is characteristic neurologic finding in primary amyloidosis
1. Peripheral motor and sensory neuropathy
2. Peripheral neuropathy associated with cerebral manifestation
3. Guillain - Barre type of syndrome
4. Spinal cord compression in thoracic region

Correct answer: 1. Peripheral motor and sensory neuropathy

Explanation: Ans. is 'a' i.e., Peripheral motor and sensory neuropathy ATTR usually presents as a syndrome of familial amyloidotic polyneuropathy or familial amyloidotic cardiomyopathy. Peripheral neuropathy usually begins as a lower-extremity sensor and motor neuropathy and progresses to the upper extremities. Autonomic neuropathy is manifest by gastrointestinal symptoms of diarrhea with weight loss and orthostatic hypotension.